Ethylene glycol when ingested affects kidney by forming:
1. Formaldehyde
2. Oxalates
3. Phytates
4. Phosphates

Correct answer: 2. Oxalates

Explanation: Ans. Oxalates